Z-plasty ideal angle is:
1. 30 degrees
2. 45 degrees
3. 60 degrees
4. 90 degrees

Correct answer: 3. 60 degrees